Which of the following treatment is not done in ectopic pregnancy:
1. Salpingectomy
2. Salpingo Oophorectomy
3. Salpingostomy
4. Resection of involved segment

Correct answer: 2. Salpingo Oophorectomy

Explanation: Surgical management of Ectopic pregnancy (laparoscopy or laparotomy)
Conservative surgery
Salpingostomy:

It is the procedure of choice when the patient is hemodynamcially stable and wishes to retain her future fertility

Salpingotomy:

Seldom done nowadays

Segmental resection and anastomosis:

It is done in case of isthmic praegnancy.

Fimbrial expression of the ectopic pregnancy:

Risk of recurrence of ectopic pregnancy are high therefore not commonly performed.

Radical surgery
Salpingectomy Indications Ruptured ectopic

The patient has completed her family,
The tubes are grossly damaged
Ectopic pregnancy has recurred in a tube already treated conservatively.
Uncontrolled bleeding
Sac size > 5 cm.

Salpingo-oophorectomy i.e. removal of tubes along with the ovaries is not recommended in young patients—
“Presently salpingo-oophorectomy is never recommended unless the ovary itself is grossly diseased or damaged”.
Jeffcoate 7/e, p 154
“The ipsilateral ovary and its vascular supply is preserved. Oophorectomy is done only if the ovary is damaged beyond salvage or is pathological”.
Dutta Obs. 6/e, p 188